Which does not play a role in protein synthesis?
1. Exon
2. Intron
3. m-RNA
4. ATP

Correct answer: 2. Intron

Explanation: The gene contains exons and introns. The introns need to be separated out and exons must be joined as they are actual amino acid coding sequences. Specific nucleases and ligases bring about this function. These changed an RNA into functional m-RNA.Ref: Textbook of medical biochemistry, MN Chatterji, 8th edition, page no: 262